Vaccine not given in Adolescents
1. MMR
2. Tetanus
3. Rotavirus
4. HPV

Correct answer: 3. Rotavirus

Explanation: Adolescence ranges from 10 to 19 yrs Early ( 10-13yrs); Mid(. 14-16yrs); Late( 17-19yrs) DPT vaccine is given at 10-12 yrs, once every 10 yrs thereafter. HPV vaccine - 2 doses( if 9-14 yrs). 3 doses( if beyond 15 yrs) Influenza vaccine- Annually Rota virus vaccine presently is given in 4 states (AP, HP, Haryana, Odisha).It is given to prevent diarrhoea caused by rota virus. Three kinds of live attenuated oral vaccines ; Rotatrix( monovalent ) 2 doses:10 &14 wks Rotateq( pentavalent)3doses:6,10,14 wks Rotovac( monovalent recombinant )3doses Immunization of rotavirus vaccine should be completed by 8 months of age. Adolescents affected with rotavirus show mild symptoms in comparison to infants and toddlers Ref: Ghai, 9th edition, Chap 5 & 10.